Hemosiderin contains
1. Calcium
2. Magnesium
3. None
4. Iron

Correct answer: 4. Iron

Explanation: Hemosiderin
 It is hemoglobin derived, golden yellow to brown, granular or crystalline pigment in which form iron is stored in cells.
When there is local or systemic excess of iron, ferritin forms hemosiderin granules.
Thus hemosiderin pigment represents aggregrates of ferritin micelles.
Under normal conditions small amounts of hemosiderin can be seen in the mononuclear phagocytes of the bone marrow,
spleen and liver, all actively engaged in red cell breakdown